Fatty acid oxidation occurs in:
1. Cytoplasm
2. Microsomes
3. Mitochondria
4. All of the above

Correct answer: 3. Mitochondria